Intensity of sensory stimulation is directly related to-
1. Duration of action potential (AP)
2. Frequency of action potential
3. Amplitude of action potential
4. All of the above

Correct answer: 2. Frequency of action potential

Explanation: Number of receptor stimulated and frequency of action potential generated can control the intensity of a stimulus.